Dellen is-
1. Localized thinning of peripheral cornea
2. b) Raised lesions in corneo limbal junction
3. Age related macular degeneration
4. Marginal keratitis

Correct answer: 1. Localized thinning of peripheral cornea

Explanation: Impaired eyelid function. It is seen in patientswith Bell's palsy, exposure keratitis, dellen,symblepharon, pterygium, nocturnal lagophthalmosand ectropion. REF:Comprehensive ophthalmology,20th edition,AK Khurana,pg no.365.